Dislocation of lens is seen in all the following conditions except:
1. Congenital rubella
2. Marchesani's syndrome
3. Marfan syndrome
4. Homocystimuria

Correct answer: 1. Congenital rubella

Explanation: Ans. Congenital rubella